Most common fungal infection in non-HIV (immuno-competent) individuals?
1. Mucor
2. Histoplasmosis
3. Aspergillosis
4. Candidiasis

Correct answer: 4. Candidiasis